Backwash ileitis is seen in:
1. Crohn's disease
2. Ulcerative colitis
3. Colonic carcinoma
4. Ileal polyp

Correct answer: 2. Ulcerative colitis

Explanation: BACKWASH ILEITIS: - Extends contiguously backward from cecum without skip regions. - It is seen in ulcerative colitis where eventhough small intestine is normal, mild mucosal inflammation of distal ileum is seen.